Most common precipitating factor for COPD is
1. Environment
2. Smoking
3. Allergen
4. All of the above

Correct answer: 2. Smoking